A radomized trial comparing the efficiancy of two drugs showed a difference between the two with a p value of < 0.005. In reality, however drugs do not differ. This is an example of ?
1. Type 1 error (alpha error)
2. Type III error (Beta error)
3. 1-a
4. 13-Jan

Correct answer: 1. Type 1 error (alpha error)

Explanation: Ans. 'a' i.e., Type I error (alpha error) Drugs showed a difference which is not true in reality --> false positive result. False positive difference is due to type I error.